Increased Gamma efferent discharge is seen in all except
1. Anxiety
2. Jendrassik's manoeuvre
3. Stimulation of skin
4. Rapid shallow breathing

Correct answer: 4. Rapid shallow breathing

Explanation: (D) Rapid shallow breaking # Increased Gamma efferent discharge> Anxiety (hyperactive tendon reflexes)> Stimulation of skin, especially by noxious agent> Jendrassik's maneuver (trying to pull the hands apart when the flexed fingers are hooked together facilitates the knee-jerk reflex).